Which is not included in active management of 3rd stage in labor to prevent PPH?
1. Direct oxytocin injection after delivery of shoulder
2. Immediate cutting and cord clamping
3. Prophylactic misoprostol
4. Controlled and sustained cord traction

Correct answer: 2. Immediate cutting and cord clamping

Explanation: Ans. is b, i.e. Immediate cutting and cord clampingRef JB Sharma Obs, Pg 218)Friends, Q1 is old question when uterine massage was included in active management of third stage of labor.